Adhesive remnant index score 3?
1. 3/4remnant
2. 1/4 remnant
3. Not remnant
4. Complete remnant

Correct answer: 4. Complete remnant

Explanation: Artun and Bergland used an adhesive remnant index system to evaluate the amount of adhesive left on tooth after debracketing. This index was developed on basis of a pilot study of 20 extracted teeth and criteria includes
Score 0... No adhesive left on tooth
Score 1...less than half of adhesive left on tooth
Score 2...more than Half of adhesive left on tooth
Score 3...all adhesive left on tooth with a distinct impression of bracket mesh.